Fetal cardiac activity can be detected by vaginal USG by howmany weeks after LMP
1. 4 wks
2. 5 wks
3. 6 wks
4. 8 wks

Correct answer: 3. 6 wks

Explanation: Ans C Ref: Williams Obstetrics page 350First trimester evaluation With transvaginal scanningGestational sac reliably seen in uterus by 5 wksFetal echoes and cardiac activity by 6 wksCardiac motion typically observed when embryo is reached 5mm in length Sheila Balakrishnan-577Gestational sac - 4 1/2 wksYolk sac - 5wksFetal node - 5 1/2 wksFetal heart - 6wks